Mixed lymphocyte culture is used to indentify :
1. MHC class I antigen.
2. MHC class II antigen.
3. B lymphocytes.
4. T helper cells.

Correct answer: 2. MHC class II antigen.

Explanation: Ans. is 'b' i.e. MHC class II antigen Mixed lymphocyte culture is used to identify HLAIIHarrison says - "HLAII genes were first detected by their ability to stimulate lymphocyte proliferation by mixed lymphocyte reaction."Some more information about Major histocompatibility complex:Human Major histocompatibility complex (commonly called the human leucocyte antigen complex) is a cluster of extensively studied genes located on short arm of chromosome 6*.Some of the important genes in this region are HLA class I and HLA class II genes.The important function of these HLA molecule is that they bind peptide antigens and present them to T cells, thus they are responsible for antigen recognition by the T cell receptor.Important feature of Human MHC gene products. Class IClass IIGenetic lociHLA-A , B & CHLA-DP, D Q & D RCell distributionAll nucleated somatic cells*Antigen presenting cells* (macrophages, B cells etc.) activated human T cells.*Present peptide antigens toCD8T Cells*CD4 T cells* Polypeptide compositionMolecular weight 45,000+ b2 ,M* (MW 12000)a chain (M.W. 33000) b chain (M.W. 29000) Li chain (M.W. 30000)* Other question asked on HLAHLA regulating immune response - Class II antigens*HLA responsible for acceptance or rejection of allografts - Class I antigens*HLA determining Histocompatibility - Class I antigen*HLA which include complements of complement system - Class III antigen*